Bisphosphonates are used for all except ?
1. Osteolytic bone metastases
2. Osteoporosis
3. Osteosclerosis
4. Pagets disease

Correct answer: 3. Osteosclerosis

Explanation: Ans. is 'c' i.e., Osteosclerosis Uses of Bisphosphonates Osteoporosis (Postmenopausal, idiopathic and steroid induced). Paget's disease Hypercalcemia of malignancy Osteolytic bone metastasis